All true about Laryngeal mask airway (LMA) except
1. The invention of the device is by Dr Archie Brain
2. It is composed of a small "mask' designed to sit in the hypo pharynx
3. It allows positive - pressure ventilation with upto 20 cm H2O
4. Cuff pressure 60 cm H2O of laryngeal mask can adequate prevent aspiration

Correct answer: 4. Cuff pressure 60 cm H2O of laryngeal mask can adequate prevent aspiration

Explanation: Laryngeal mask airway is a Supraglottic disease which can be used for ventilation but cannot form seal over glottic opening to prevent aspiration. The Laryngeal Mask Airway LMA is asupraglottic airway devicewhich sits in the hypopharynx and partially protects thelarynx from pharyngeal secretions, but not gastric regurgitation. Advantages: Easy and rapid Less invasive Better hemodynamic stability Very useful in difficult intubations Less complications requires lesser plane of Anaesthesia Does not require neck mobility Disadvantages: Increased risk of gastrointestinal aspiration Less safe in prone or jackknife positions Less secure airway Greater risk of gas leak and pollution Can cause gastric distention